A 36 year old female with symptoms of hyperparathyroidism, pituitary adenomas, islet cell tumor with cutaneous angiofibromas. What is the diagnosis?
1. MEN 1
2. MEN 2A
3. MEN 2B
4. MEN 2C

Correct answer: 1. MEN 1

Explanation: Answer is A (MEN I): Association of Parathyroid, Pancreatic and Pituitary tumors along with adrenal cortical hyperplasia and cutaneous angiofibromas suggests a diagnosis of MEN I syndrome.